Unilateral cleft lip is repaired at what age?
1. 1-3 months
2. 3-6 months
3. 6-9 months
4. 9-12 months

Correct answer: 2. 3-6 months

Explanation: ANSWER: (B) 3-6 monthsREF: With textDefinitive single-stage cleft lip and nose repair is performed at 3 to 6 months of age. After the definitive deft lip and nose repair, the deft palate is repaired in a single stage at 9 to 12 months of age. (Ref: Schwartz 9th ed chapter 45)The timing of cleft repair is important, and a general recommendation is lip repair at 3 months, palate repair by 12 months, and alveolar bone grafting at about 9 years which coincides with partial eruption of the canine teeth (Ref: Sabiston 18th ed chapter 73)Cleft lip repair is commonly performed between 3 and 6 months of age whereas deft palate repair is frequently performed between 6 and 18 months. (Ref: Bailey 25th ed page 661)